Gamma neurons innervate:
1. Extrafusal muscle fibers
2. Intrafusal muscle fibers
3. Primary motor innervations to skeletal muscles
4. Inhibit antagonistic muscles

Correct answer: 2. Intrafusal muscle fibers

Explanation: Ans. B. Intrafusal muscle fibersa. In addition to the alpha motor neurons that excite contraction of the skeletal muscle fibers, about one half as many much smaller gamma motor neurons are located along with the alpha motor neurons in the anterior horns.b. These transmit impulses through type-A gamma fibers, averaging 5 microns in diameter, to very small, special skeletal muscle fibers called intrafusal fibers, present in the muscle spindle.